A patient presents with heterotopic ossification around the knee joint. The laboratory investigation of choice in him is which of the following?
1. Serum calcium
2. Serum Alkaline Phosphatase
3. Serum phosphorus
4. Serum Acid phosphatase

Correct answer: 2. Serum Alkaline Phosphatase

Explanation: Heterotopic ossification is characterised by periarticular deposition of ectopic new bone. Serum alkaline phosphatase is an important marker of osteoblastic activity and new bone formation. Ref: Wheeless' Textbook of Orthopaedics; Garland D.E. A clinical perspective on common forms of acquired heterotopic ossification CORK No Feb, 1991; Other Journal articles; Schiffs dieases of the liver - Eugene R Schiff Page number 26.